Wheal & flare reaction is what type of hypersensitivity reaction?
1. Type I
2. Type II
3. Type III
4. Type IV

Correct answer: 1. Type I

Explanation: Ans. is 'a' i.e., Type 1 o Wheal and flare reaction is seen in urticaria, i.e. type I hypersensitivity reaction.HYPERSENSITIVITYTvpe I (IgE mediated)Tipe II (IeG. IeM and comnlement mediated)o Eczemao Blood transfusion reactionso Hay fevero Erythroblastosis fetaliso Asthmao Autoimmune hemolytico Atopyanemia or thrombocytopeniao Urticariaor agranulocytosiso Anaphylactic shocko Pemphigus vulgariso Acute dermatitiso Good pasture syndromeo Theobald smith phenomenono Bullous pemphigoido Pernicious anemiao Prausnitz Kusnter (PK) reactiono Acute rheumatic fevero Diabetes mellituso Casoni's testo Graves diseaseo Schultz-Dale phenomenono Myasthenia gravisType III (IeG IgM. complement and leucocyte media ted)Type IV (Cell mediated)o Local -Arthus reactiono Tuberculin testo Systemic-serum sicknesso Lepromin testo Schick testo Sarcoidosiso Polyarteritis nodosa (PAN)o Tuberculosiso Rheumatoid arthritiso Contact dermatitiso SLEo Granulomatous inflammationo Acute viral hepatitiso Type I lepra reactiono Penicillamine toxicityo Patch testo Hyperacute graft rejectiono Temporal arteritiso Type 2 lepra reaction (ENL)o Jones mote reactiono Hypersensitivity pneumonitis(cutaneous basophilic HSN)oRAo Graft rejectiono Infective endocarditiso Fairleys testo Henoch schonlein purpurao Frie's test